True about Borrelia recurrentis are all except:
1. Causes epidemic relapsing fever
2. It is transmitted by ixodes tick
3. No other known animal reservoir of B. recurrentis exists
4. It infects the person mucous membranes

Correct answer: 2. It is transmitted by ixodes tick

Explanation: Ans. B: It is transmitted by ixodes tick Diseases caused by Borrelia are: 1. Lyme Borreliosis The major Borrelia species causing Lyme disease are Borrelia burgdorferi, Borrelia afzelii, Borrelia garinii and Borrelia valaisiana. Lyme disease/ borreliosis is transmitted by ticks. 2. Relapsing fever Borrelia recurrentis causes epidemic relapsing fever caused by the human body louse. No other known animal reservoir of B. recurrentis exists. B. recurrentis infects the person mucous membranes and then invades the bloodstream.